Vaginal delivery is contraindicated in
1. Previous classical CS
2. Preterm labour
3. Previous LSCS
4. Face presentation

Correct answer: 1. Previous classical CS

Explanation: Vaginal delivery is contraindicated in Classical C.S because there is more chance of rupture of the uterus. 8-10% risk of uterine rupture is there in next pregnancy. This is because this portion of the uterus is taking part in active contractions and will predispose to uterine rupture.